Injury to dangerous area of face infection goes to
1. Cavernous sinus
2. Mastoiditis
3. Labyrinthitis
4. Lateral sinus thromophlebitis

Correct answer: 1. Cavernous sinus

Explanation: (Cavernous sinus) (195-BDC-3) (544.581-small 9th)Facial infections and cavernous sinus ThrombosisThe area of facial skin bounded by the nose, the eye, and two upper lip is a potentially dangerous zone to have an infection, for example, a boil in this region can cause thrombosis of two facial vein. With spread of organisms through two inferior ophthalmic vein to the cavernous sinus, the resulting cavernous sinus thrombosis may be fatal unless adequately treated with antibioticsDangerous area of face includes the upper LipQ, and the Lower part of NoseQ.It is called the 'dangerous area' as infections from this region can spread in a retrograde direction from the face to the cavernous sinus causing dangerous complications like 'thrombosis of the cavernous sinusFacial vein can communicate to the cavernous sinus through two major routes or deep connections i.e.-Important Structures Associated with the cavernous sinuses# The internal carotid artery and the 6th cranial nerve which travel through it# In the lateral wall, the 3rd and 4th cranial nerve and the ophthalmic and maxillary division of the 5th cranial nerve# The pituitary gland which lies medially in the sella turcica# The veins of the face, which are connected with the cavernous sinus via the facial nerve and inferior ophthalmic vein, are an important route for the spread of infection from the face# The superior and inferior petrosal sinuses which run along the upper and lower border of the petrous part of the temporal one Cavernous sinus lesions presentation |||Nervous symptomsVenous symptoms| ||| Pain in the distribution of ophthalmic (V1) and Maxillary (V2) nerveParalysis of extra ocular muscles due to lesion affecting III IV & VI cranial nerveMarked oedema of the eyelids, cornea and roof of nose with exophthalmos due to congestion of orbital veins CAVERNOUS SINUS|Incoming channels Draining channels* Superior ophthalmic vein *** Inferior ophthalmic vein *** Central vein of Retina *** (may drain via superior ophthalmic vein)* Superficial middle cerebral vein **** Inferior cerebral vein ** Sphenoparietal sinus ** Middle meningeal vein *( frontal and Anterior Trunk) * Superior petrosal sinus (drain into Transverse sinus)* Inferior petrosal sinus (drain into internal jugular vein) **** Emissary veins *** (drain into pterygoid plexus of veins)* Superior ophthalmic vein (drain into facial vein)* Inter cavernous vein ("sinuses communicate between the left & right cavernous sinuses